INH and pyridoxine are given together in antituberculous chemotherapy :
1. To prevent peripheral neuritis
2. To prevent emergence of INH resistance
3. As a nutrient supplement
4. As a synergistic combination

Correct answer: 1. To prevent peripheral neuritis